Incase of unstable lie of fetus the placenta is usually
1. Cornual
2. Lateral wall
3. Fundus
4. Lower segment

Correct answer: 4. Lower segment

Explanation: Unstable lie is seen in placenta previa